Pulmonary plethora in a child presenting with cynosis, is seen in?
1. Tetralogy of Fallot
2. Total anomalous pulmonary venous connection
3. Coarctation of aorta
4. Tricuspid Atresia

Correct answer: 2. Total anomalous pulmonary venous connection

Explanation: Pulmonary plethorais a term used to describe the appearances of increased pulmonary perfusion on Chest radiographs Usually a left-to-right shunt of 2:1 is required for pulmonary plethora to occur. Increased pulmonary perfusion occurs in a number of situations: Left-to-right cardiac shunts, e.g. ASD, VSD, PDA Partial or total anomalous pulmonary venous connections Transposition of the great arteries Truncus arteriosus Vein of Galen malformation It may also been seen in healthy patients with increased cardiac output (e.g. pregnancy). Pulmonary plethora can occur with or without cyanosis with different causes attributed: without cyanosis:left-to-right shunt with cyanosis:transposition of great arteries, TAPVC, Truncus arteriosus